Koplik spots is a feature of -
1. Rubella
2. Measles
3. Tetanus
4. Mumps

Correct answer: 2. Measles

Explanation: Presence of Koplik's spot is pathognomic of measles. They are like table salt crystals appear on buccal mucosa opposite the first and second lower molars. Ref: PARK'S TEXTBOOK OF PREVENTIVE AND SOCIAL MEDICINE 23rd edition pg 147